Embryologically corneal stroma is derived from which of the following layers?
1. Neural crest
2. Ectoderm
3. Mesoderm
4. Endoderm

Correct answer: 1. Neural crest

Explanation: Corneal stroma, keratocytes and endothelium is derived from the Neural crest.